Class coccidia doesn't include which of the following parasite
1. Cryptosporidium
2. Naegleria
3. Isospora
4. Cyclospora

Correct answer: 2. Naegleria

Explanation: Naegleria doesn't belong to class coccidia. It belongs to lobosea Coccidia includes all the mentioned options Coccidia are a subclass of microscopic, spore-forming, single-celled obligate intracellular parasites belonging to the apicomplexan class Conoidasida Ref: D.R. Arora.Medical parasitology 4th ed pg. 18